In Wernicke's aphasia all are seen except:
1. Spontaneous speech is reduced
2. Neologism is present
3. Speech is effortless
4. Paraphasia present

Correct answer: 1. Spontaneous speech is reduced

Explanation: Spontaneous speech is reduced Language allows the communication and elaboration of thoughts and experiences by linking them to arbitrary symbols known as words. the neural substrate of language is composed of a distributed network centered in the perisylvian region of the left hemisphere. The posterior pole of this network is known as Wernicke's area. - An essential function of Wernicke's area is to transform sensory inputs into their neural word, representations so that these can establish the distributed associations that give the word its meaning. Wernicke's aphasia :! Comprehension - Impaired Repetition of spoken language - Impaired Naming - Impaired Fluency - Preserved/Increased. Language is highly paraphasic. Neologisms Voluminous speech.